Regarding Campylobacter jejuni not true is ?
1. Most common cause of Campylobacteriosis
2. Poultry is the cause of the disease
3. Human is the only reservoir
4. Causes Gillian barrie syndrome

Correct answer: 3. Human is the only reservoir

Explanation: Ans. is 'c' i.e. Human is the only reservoir Animals are the main reservoir of C. jejuni( not human). It is a zoonosis. CAMPYLOBACTER Morphology . Gram negative . Comma shaped . Motile with a single polar flagellum --> Darting or tumbling motility . Non capsulated . Nonsporing Culture . Growth occurs under microaerophilic conditions (5% 02,10% CO2 and 85% N2). . Thermophilic, growing at 42degC (Can grow at 37degC, but incubation at higher tempratures suppresses normal fecal flora.) Biochemical reactions . Do not ferment carbohydrate . Catalase and oxidase positive . Nitrate reduction positive Pathogenicity Diarrhea! disease . C. jejuni is the most common cause . It is a zoonosis . The source is food of animal origin, especially raw milk.